Most common tumor of urinary bladder is?
1. Squamous cell cancer
2. Carcinosarcoma
3. Transitional cell cancer
4. Clear cell cancer

Correct answer: 3. Transitional cell cancer

Explanation: Ans. (c) Transitional cell cancerRef: Bailey & Love 26th ed. /1330-35